Upper Lid Retractors include?
1. Muller muscle and superior rectus
2. Levator palpabrae superioris and superior oblique
3. Superior oblique and superior rectus
4. Levator palpebrae superioris & muller muscle

Correct answer: 4. Levator palpebrae superioris & muller muscle

Explanation: *The levator palpebrae superioris is the important upper eye lid retractor. Injury or weakness to this muscle leads to ptosis. *Deep part of the elevator muscle is the Muller's muscle, which is sympathetically innveed. Ref: Textbook of Ophthalmic reconstructive surgeries p.786